Malaria is transmitted in Rural areas by -
1. Anopheles stephensi
2. Anopheles dirus
3. Anopheles culicifacies
4. None

Correct answer: 3. Anopheles culicifacies

Explanation: - anopheles culicifacies is the main vector of malaria in rural and peri urban areas and is widespread in peninsular India. - found in natural and man made breeding sites. Reference : Park's textbook of preventive and social medicine, 23rd edition ,pg no:256